A 30-year-old lady C/O sudden onset of breathlessness, anxiety, palpitation and feeling of impending doom. Physical examination is normal. Diagnosis is:
1. Panic attack
2. Anxitey disorder
3. Conversion disorder
4. Acute psychosis

Correct answer: 1. Panic attack

Explanation: Ans. A i.e. Panic attack